All of the following statements about neuromuscular blockage produced by succinylcholine are true, except:
1. No fade on Train of four stimulation
2. Fade on tetanic stimulation
3. No post tetanic facilitation
4. Train of four ratio > 0.4

Correct answer: 2. Fade on tetanic stimulation

Explanation: Succinylcholine is a depolarizing neuromuscular blocker. With succinylcholine no fading is observed after train of four or tetanic stimulation. All four stimulatory responses after TOF stimulation are suppressed to the same extent. REF : Smith and atkenhead 10th ed